According to AHA/American college of cardiology which is not surgery with high risk in patients with known coronary artery disease-
1. Emergency surgery
2. Peripheral vascular surgery
3. Carotid endarterectomy
4. Aortic aneurysm Sx

Correct answer: 3. Carotid endarterectomy

Explanation: Risk stratification Procedure examples Vascular (reported cardiac risk >5%) Aortic and other major vascular surgery Peripheral vascular surgery Intermediate risk (reported cardiac risk 1%-5%) Intraperitoneal and intrathoracic surgery Carotid endarterectomy Head and neck surgery Orthopedic Surgery Prostate surgery Low risk (reported cardiac risk <1% Endoscopic procedures Superficial procedures Cataract surgery Breast surgery Ambulatory surgery